Through which part of internal capsule does auditory pathway pass
1. Anterior limb
2. Posterior limb
3. Retrolentiform part
4. Sublentiform part

Correct answer: 4. Sublentiform part

Explanation: The auditory fibres are carried in the inferior thalamic radiation which passes through the sublentiform part of internal capsule. The other fibres passing through the sublentiform part are temporopontine fibres and thalamotemporal fibres. (Ref: Vishram Singh textbook of clinical neuroanatomy, second edition pg- 167)